True regarding endothelin-l are all except
1. Bronchodilation
2. Vasoconstriction
3. Decreased GFR
4. Has inotropic effect

Correct answer: 1. Bronchodilation

Explanation: Bronchodilatation ET, is primarily a paracrine regulator. It causes vasoconstriction, Bronchoconstriction, cardiac stimulation (ionotropic action), a release of aldosterone and ANP, and a decrease in GFR due to contraction of mesangial cells of the kidney.